Akathesia is treated by all except -
1. Trihexyphenidyl
2. Diazepam
3. Haloperidol
4. Promethazine

Correct answer: 3. Haloperidol

Explanation: Drugs used in Akathesia 

β -blockers (propranolol, metoprolol)                  
Antihistaminic (Diphenhydramine, Promethazine)
Vitamin B6
Central anticholinergics (e.g. Trihexyphenidyl)
Diazepam
Amantadine